Excision of the head of the radius in a child should not be done because :
1. It produces instability of elbow joint
2. It leads to secondary osteoarthritis of elbow
3. It causes subluxation of inferior radio-ulnar joint
4. It causes myositis ossificans

Correct answer: 3. It causes subluxation of inferior radio-ulnar joint

Explanation: Complications of radial head excision in children :

Proximal migration of radius with inferior radio - ulnar (distal radio - ulnar) joint instability.
Postero-lateral instability.
Cubitus valgus deformity.